CD-95 has a major role in :
1. Apoptosis
2. Cell necrosis
3. Interferon activation
4. Proteolysis

Correct answer: 1. Apoptosis

Explanation: . Apoptosis